The bacteria observed as a causative organism in case of Recurrent apthous ulcers isq
1. Streptococcus sangius
2. Streptococcus mutans
3. Borellia vincentii
4. Staphylococci atbus

Correct answer: 1. Streptococcus sangius